Percentage of water in amniotic fluid :
1. 42%
2. 64%
3. 76%
4. 99%

Correct answer: 4. 99%

Explanation: Composition of amniotic fluid : Water -98-99% Solid -1-2% -Inorganic, Organic, Suspended particles. Ref:Datta Obs 9e pg 34.